All are causes of chronic granulomatous uveitis EXCEPT:
1. Sarcoidosis
2. Tuberculosis
3. Brucellosis
4. Fuchs heterochromic iridocyclitis

Correct answer: 4. Fuchs heterochromic iridocyclitis

Explanation: (Fuch's heterochromic iridocyclitis) (220-Parson 20th)* Causes of chronic granulomatous uveitis - Sarcoidosis, Herpes simplex, herpes zoster, varicella, syphilis,Tuberculosis, leprosy, brucellosis phacoanaphylactic* Causes chronic - non granulomatous uveitis - Juvenile, chronic arthritis, chronic iridocyclitis of children,Fuch's heterochromic iridocyclitis.